All are congenital myopathies except -
1. Central core myopathy
2. Nemaline myopathy
3. Z band myopathy
4. Centronuclear myopathy

Correct answer: 3. Z band myopathy